All of the following are causes of "lupus" except
1. Hydralazine
2. Clofibrate
3. Penicillamne
4. Chlorpromazine

Correct answer: 2. Clofibrate

Explanation: Drugs causing lupus sulfonamides hydralazine isoniazid procainamide anticonvulsants Lithium pencillamine diltiazem betablockers Sulfasalazine Interferon gamma TNF inhibitors iadvl textbook of dermatology page 1221